Schiller Duval body is characteristic of
1. Yolk sac tumor
2. Dysgerminoma
3. Granulosa cell tumor
4. Immature teratoma

Correct answer: 1. Yolk sac tumor

Explanation: Yolk Sac TumorThough rare, yolk sac tumor (also known as endodermal sinus tumor) still ranks as the second most common malignant tumor of germ cell origin. Similar to the normal yolk sac, the tumor cells elaborate a-fetoprotein. Its characteristic histologic feature is a glomerulus-like structure composed of a central blood vessel enveloped by tumor cells within a space that is also lined by tumor cells (Schiller-Duval body).Ref: Robbins and Cotran Pathologic Basis of Disease; 9th edition; Chapter 22; The Female Genital Tract; Page no: 1031